Pirenzepine is used for
1. Peptic ulcer
2. Motion sickness
3. Constipation
4. Bronchial asthma

Correct answer: 1. Peptic ulcer

Explanation: Pirenzepine & Telenzepine are M1 antagonists used for peptic ulcer disease.